A man presents to a ST clinic with urethritis and urethral discharge. Gram stain shows numerous pus cells but no microorganism. The culture is negative on the routine laboratory media. The most likely agent is -
1. Chlamydia trachomatis
2. Haemophilus ducreyi
3. Treponema pallidum
4. Neisseria gonorrhoeae

Correct answer: 1. Chlamydia trachomatis